Induction at term is not done in :
1. Hypertension
2. DM
3. Heart disease
4. Renal disease

Correct answer: 3. Heart disease

Explanation: Ans. is c i.e. Heart disease